Hypomelanosis of Ito is associated with?
1. Intellectual disability
2. Seizures
3. Visual abnormalities
4. All of the above

Correct answer: 4. All of the above

Explanation: Ans is 'd' i.e., All of the above * Hypomelanosis oflto (Incontinentia pigmenti achromians) is part of a rare genetic neurocutaneous syndrome. It is characterised by:1. Streaky, patchy, whorl-like, or linear hypopigmented macules occurring on any part of the body (Palms, scalp and soles of the feet are usually not affected).2. Swirling patterns around the trunk and linear patterns down the legs and arms occur along Blaschko's lines.3. Lesions first appear as small 0.5-1 cm hypopigmented or white macules that merge to form larger patches.4. Macules cover more than two dermatomes and are often on both sides of the body.5. Patches are not symmetrical.6. These skin changes often develop within the first two years of life.Associated abnormalities (occur in 30-50% of patients):A. SeizuresB. Intellectual disabilityC. Hearing abnormalitiesD. Tooth or mouth problemsE. Visual problemsF. Orthopedic problems